Vortex vein invasion is a feature of
1. Malignant melanoma
2. Retinoblastoma
3. Medulloepithelioma
4. Optic nerve glioma

Correct answer: 1. Malignant melanoma

Explanation: Malignant melanoma of choroid shows extraocular spread along the perivascular spaces of the vortex veins or ciliary vessels. Extraocular extension also occurs due to progressive growth of the tumor that may burst through sclera, usually at the limbus Ref. Khurana page no.174